Which of the following drugs require dose adjustment in renal failure?
1. Cefoperazone
2. Doxycycline
3. Streptomycin
4. Rifampicin

Correct answer: 3. Streptomycin

Explanation: Reduce dose even in mild failure :Aminoglycosides, Amphotericin B ,Ethambutol ,Vancomycin Flucytosine Reduce dose only in moderate-severe failure Metronidazole, Carbenicillin ,Cotrimoxazole Aztreonam, Meropenem ,Fluoroquinolones Clarithromycin ,Imipenem Drugs to be avoided: Cephalothin ,Talampicillin ,Nalidixic acid, Tetracyclines ,Nitrofurantoin (except doxycycline) ESSENTIALS OF MEDICAL PHARMACOLOGY page no.695